Persistent hyperplastic primary vitreous may be associated with
1. Microphthalmos
2. Cataract
3. Long ciliary processes
4. All of the above

Correct answer: 4. All of the above

Explanation: Persistent hyperplastic primary vitreous (PHPV) : It results from failure of the primary vitreous structure to regress combined with the hypoplasia of the posterior portion of vascular meshwork. Clinically it is characterized by a white pupillary reflex (leucocoria) seen shortly after birth. Associated anomalies include congenital cataract, glaucoma, long and extended ciliary processes, microphthalmos and vitreous haemorrhage. Ref:- A K KHURANA; pg num:-245